The result of muscle forces acting through the intercuspation of the occlusal surfaces is called:
1. Anterior component of force
2. Mesial drift tendency
3. Stomatog nathics
4. Gnathics

Correct answer: 1. Anterior component of force